Complication of vernal keratoconjunctivitis is
1. Cataract
2. Keratoconus
3. Retinal detachment
4. Vitreous hemorrhage

Correct answer: 2. Keratoconus

Explanation: Keratoconus (conical cornea) is a noninflammatory bilateral (85%) ecstatic condition of the cornea in its axial part. It usually starts at puberty and progresses slowly. Keratoconus may be associated with :Ocular conditions e.g. ectopia lentis, congenital cataract, aniridia, retinitis pigmentosa, and vernal keratoconjunctivitis (VKC). Systemic conditions e.g., Marfan's syndrome, atopy, Down's syndrome, Ehlers-Danlossyndrome, osteogenesis imperfecta, and mitral valve prolapse. Treatment. Falling vision may not be corrected by glasses due to irregular astigmatism. Contact lenses (rigid gas permeable) usually improve the vision in early cases. In later stages penetrating keratoplasty may be required. Intacs, the intracorneal ring segments, are reported to be useful in early cases. Keratoconus can occur in patients with vernal keratoconjunctivitis due to repeated rubbing of the eye. early complications: This constant damage to the cornea may cause severe complications, including shield ulcers and vernal plaques, keratoconus, corneal scarring, microbial keratitis, and limbal epithelial stem cell deficiency. As some of these complications occur during the first decade of life, they may result in amblyopia. Ref khurana 16th edition pg 256 Ref: Khurana; 4th ed; Pg 119